Female is affected, male is not. Disease is autosomal dominant, what is the chance in children?
1. 50% affected
2. 25% affected
3. 75% affected
4. All affected

Correct answer: 1. 50% affected

Explanation: Robbins basic pathology 9th edition page no 218,Heading =Transmission patterns of single-gene disorders Disorders of autosomal dominant inheritance are manifested in the heterozygous state, so atleast in an index case usually is affected, both males and females are affected, and both can transmit the same. When an affected person marries an unaffected person, every one chance in two of having the disease. Thus there is 50%of the chidren may be affected